Following is true about Focal nodular hyperplasia Except
1. Unusual benign tumor of liver
2. Commonly symptomatic and occurs as multiple liver nodules
3. More common in females than in males
4. Contain hepatocytes and Kupffer cells

Correct answer: 2. Commonly symptomatic and occurs as multiple liver nodules

Explanation: It's a benign condition of unknown aetiology, seen in females showing focal overgrowth of functioning liver tissues with fibrous stromal support and also it presents as a solitary nodule. Reference : SRB edition :5 page no: 607& 608